Which of the following is not a feature of hypercalcemia:
1. Diarrhea
2. Polyuria
3. Depression
4. Vomiting

Correct answer: 1. Diarrhea

Explanation: All the features mentioned above in the question are features of hypercalcemia except diarrhea. Hypercalcemia causes constipation, not diarrhea. So diarrhea is the single best answer of choice. Ref: Harrisons Principles of Internal Medicine, 16th Edition, Page 2252.